Anthrax bacilli differs from anthracoid bacilli by being:
1. Non-capsulated
2. Strict aerobe
3. Non-motile
4. Hemolytic colonies on blood

Correct answer: 3. Non-motile

Explanation: Ans. is 'c' i.e., Non motileRef:(Ananthanarayan, 8th/e, p. 393; 9th/e, p. 390-91)Differentiating features between anthrax and anthracoid bacilliAnthrax BacilliAnthracoid Bacilli* Nonmotile* Generally motile* Capsulated* Noncapsulated* Grow in long chains* Grow in short chains* Medusa head colony* Not present* No growth in penicillin agar (10 units/ml)* Grow usually* Hemolysis absent or weak* Usually well marked* Inverted fir tree growth and slow gelatin liquefaction* Rapid liquefaction* No turbidity in broth* Turbidity usual